Which of the following drugs are used in a patient with tetralogy of fallot?
1. Digoxin, furosemide, and oxygen
2. Morphine, soda-bicarb, and propranolol
3. Atenolol with DC conveer
4. Captopril with aminophylline

Correct answer: 2. Morphine, soda-bicarb, and propranolol

Explanation: Medical treatment of TOF include propanolo,morphine. Ghai essential of pediatrics, eighth edition, p.no:422